Heberden's Arthropathy affects -
1. Lumbar spine
2. Symmetrically large joints
3. Sacroiliac joints
4. Distal interphalangeal joints

Correct answer: 4. Distal interphalangeal joints

Explanation: In osteoarthritis of hand :

i)   Distal interphalangeal joint :- Heberden's node.
ii)  Proximal interphalangeal joint :- Bouchard's node